Flat topped violaceous papule, thinning of nail. Microscopic finding would be?
1. Basal cell degeneration
2. Epidermal bulla
3. Acantholysis
4. Prominent necrotic cells

Correct answer: 1. Basal cell degeneration

Explanation: (Refer: Fitz Patrick’s Dermatology in General Medicine, 8th edition, pg no: 2418)